Human infection with the beef tapeworm, Taenia saginata, usually is less serious than infection with the pork tapeworm, T. solium, because
1. Acute intestinal stoppage is less common in beef tapeworm infection
2. Larval invasion does not occur in beef tapeworm infection
3. Toxic by-products are not given off by the adult beef tapeworm
4. The adult beef tapeworms are smaller

Correct answer: 2. Larval invasion does not occur in beef tapeworm infection

Explanation: Both beef tapeworm (Taenia saginata) and pork tapeworm (T. solium) can, in the adult form, cause disturbances of intestinal function. Intestinal disorder is due not only to direct irritation but also to the action of metabolic toxic wastes. In addition, T. saginata, because of its large size, may produce acute intestinal blockage. Unlike T. saginata, T. solium produces cysticercosis, which results in serious lesions in humans (in T. saginata, the cysticercus-encysted larvae stage-develops only in cattle).